The thoracic duct crosses the posterior mediastinum at the level of which vertebra-
1. T5
2. T6
3. T7
4. T8

Correct answer: 1. T5

Explanation: At the level of T5, thoracic duct crosses from right to left.